Subdural hematoma most commonly results from –
1. Rupture of intracranial aneurysm
2. Rupture of cerebral AVM
3. Injury to cortical bridging veins
4. Hemophilia

Correct answer: 3. Injury to cortical bridging veins

Explanation: Subdural hematoma                →  Injury to cortical bridging veins
Epidural hematoma                 →  Injury to the middle meningeal artery
Subarachnoid hemorrhage       →  Rupture of berry (saccular) aneurysm